Pick the false statement about pattern recognition receptors out of the following:
1. Toll like receptors are best known of the pattern recognition receptors
2. Toll like receptors are present in the plasma membrane and act by activation of NF-kB and interferon regulatory factor
3. NOD-like receptors (NLRs) are cytosolic receptors whose mutations lead to autoimmune disorders
4. RIG-like receptors (RLRs) are located in the cytosol and stimulate the production of antiviral cytokines

Correct answer: 3. NOD-like receptors (NLRs) are cytosolic receptors whose mutations lead to autoimmune disorders

Explanation: The best known of the pattern recognition receptors are the Toll-like receptors (TLRs). The TLRs are present in the plasma membrane and endosomal vesicles. Act by activation of:- NF-kB Interferon regulatory factors (IRFs) -NOD-like receptors (NLRs) are cytosolic receptors. They recognize products of necrotic cells, ion disturbances, and some microbial products. Several of the NLRs signal a cytosolic multiprotein complex called the inflammasome, which activates an enzyme (caspase-1) that cleaves a precursor form of the cytokine interleukin-1 (IL-1) to generate the biologically active form. IL-1 recruits leukocytes and induces fever. Gain-of-function mutations in one of the NLRs result in periodic fever syndromes, called autoinflammatory syndromes.